Deficiency of this haemophilic factor during early pregnancy will result in neural tube defect:
1. Folic acid
2. Iron
3. Cyanocobalamine
4. Antioxidants

Correct answer: 1. Folic acid

Explanation: Folio acid deficiency in mothers would lead to neural tube defects. Hence folio acid is given 500mcg daily orally. From essential of medical pharmacology K D Tripati page no 610 and Medical pharmacology padmaja 4th edition page no 331